In an adult, the spinal cord ends at -
1. T12- L1
2. L1-L2
3. L3-L4
4. S1-S2

Correct answer: 2. L1-L2